What is the recommended period of isolation for a suspected case of diphtheria?
1. 7 days
2. 10 days
3. 12 days
4. 14 days

Correct answer: 4. 14 days

Explanation: All suspected or confirmed cases and carriers of diphtheria should be isolated preferably in a hospital for at least 14 days or until proved free of infection by two consecutive nose and throat swabs taken 24 hours apart. Ref: Park 21st edition, page 150.